Widal test is a type of?
1. Tube agglutination
2. Slide agglutination
3. Tube precipitation
4. Slide precipitation

Correct answer: 1. Tube agglutination

Explanation: Ans. (a) Tube agglutinationRef: Textbook of Microbiology by Ananthanarayan and Paniker / 299